All are true about Neisseria gonorrhoeae except ?
1. Gram positive cocci
2. Cause stricture of urethra
3. Involves seminal vesicles and spreads to epididymis
4. Drug of choice is ceftriaxone

Correct answer: 1. Gram positive cocci

Explanation: Ans. is 'a' i.e., Gram positive cocci Gonocci are gram negative diplococci. Urethral stricture may occur as a complication of gonococcal urethritis. Gonococci may extend to seminal vesicle and epididymis, along the urethra. For uncomplicated gonorrhea, single dose of ceftriaxone is DOC.